Ulnar nerve supplies all except -
1. FCU
2. 1st lumbrical
3. 4th lumbrical
4. Dorsal interossei

Correct answer: 2. 1st lumbrical

Explanation: Ans. is 'b' i.e., 1st lumbrical o Various branches of ulnar nerve areA) In arm: No branch.B) In forearm: There are following branches :-Muscular: In proximal part of forearm it supplies flexor carpi ulnaris and medial half of flexor digitorum profundus.Cutaneous : There are two cutaneous branches in forearm:-Palmar cutaneous branch : Supplies skin over the hypothenar eminence.Dorsal (posterior) cutaneous branch : Supplies skin over medial 1/3 of dorsum of hand and dorsal surface of medial 1V2 fingers.C) In hand : Ulnar nerve enters the palm by passing superficial to flexor retunuculum and divides into two terminal branches :-Superficial terminal branch : It supplies palmaris brevis and skin of palmar surface of medial 1 1/2 fingers.Deep terminal branch : It supplies adductor pollicis, all interossei, medial two (3rd & 4th) lumbricals and all hypothenar muscles except palmaris brevis (i.e. abductor digiti minimi, flexor digiti minimi, opponens digiti minimi).